Which of the following is C-X-C chemokine?
1. Fractalkine
2. Lymphotactin
3. Rantes
4. IL-8

Correct answer: 4. IL-8

Explanation: C-X-C plays a major role in neutrophil recruitment. IL-8 is a typical member of C-X-C family.